In leprosy, the best bactericidal agent is:
1. Clofazimine
2. Dapsone
3. Rifampicin
4. Ethionamide

Correct answer: 3. Rifampicin

Explanation: Best bactericidal agent in leprosy: Rifampicin, given once monthly in leprosy and once daily in TB. Bacteriostatic agent in leprosy: clofazimine and dapsone.